An asympromatic adult with CD4 count of 230/L falls under which category of CDC classification?
1. A1
2. A2
3. B2
4. C1

Correct answer: 2. A2

Explanation: CD4 + T Cell Categories A Asymptomatic, Acute (Primary) HIV or PGL B Symptomatic,Not A or C Conditions C AIDSIndicatorConditions >500/mL A1 B1 C1 200-499/mL A2 B2 C2 <200/mL A3 B3 C3 (Harrison's Principles of internal medicine, 20th edition, page 1506)